In acute congestive glaucoma, pupil is -
1. Oval and horizontal
2. Oval and vertical
3. Circular
4. Slite like

Correct answer: 2. Oval and vertical

Explanation: Pupil is semi dilated vertically oval and fixed. It is non-reactive to both light and accomodation. Ref: Comprehensive Ophthalmology AK Khurana 6th edition chapter-10 page no: 245